Causes of Otomycosis -a) Candidab) Aspergillusc) Thermophylusd) Staphylococcus
1. ab
2. a
3. ad
4. bc

Correct answer: 1. ab